A 25 year old woman presents with bloody diarrhea and is diagnosed as a case of Ulcerative colitis. Which of the following condition is not associated with ulcerative colitis?
1. Iritis
2. Pancreatitis
3. Sclerosing cholangitis
4. Ankylosing spondylitis

Correct answer: 2. Pancreatitis

Explanation: Pancreatitis is not an associated extraintestinal manifestation of ulcerative colitis. Ulcerative Colitis is associated with: ? Dermatologic: ? ? ? Erythema nodosum ? ? ? Pyoderma gangrenosum ? Rheumatologic: ? ? ? Peripheral arthritis ? ? ? Ankylosing spondylitis ? ? ? Sacroiliitis ? Ocular: ? ? ? Conjunctivitis ? ? ? Anterior uveitis/iritis ? ? ? Episcleritis ? Hepatobiliary: ? ? ? Hepatic steatosis ? ? ? Fatty liver ? ? ? Cholelithiasis ? ? ? Primary sclerosing cholangitis ? Urologic: ? ? ? Calculi ? ? ? Ileal bladder fistulas ? Metabolic bone disorders ? Thromboembolic disorders Ref: Harrisons Internal Medicine, 18th Edition, Chapter 295, Pages 2487-2489